In a dental clinic, auxiliary perform duties after personal diagnosis and direction of dentist and patient is sent after his clearance comes under
1. Direct guidance/ supervision
2. Indirect guidance/ supervision
3. Personal guidance/ supervision
4. General guidance/ supervision

Correct answer: 1. Direct guidance/ supervision